IPC 197 is related to
1. Medical negligence
2. Issuing false certificate by doctor
3. Giving false evidence under oath
4. Summons

Correct answer: 2. Issuing false certificate by doctor

Explanation: IPC 197 - Knowingly issuing or signing a false certificate relating to any fact of which such certificate is by law admissible in evidence. Punishment as for False Evidence. Ref: Krishnan vij ; 5th ed; Page no: 582